Uvula vesica in bladder is produced byb which lobe of prostate
1. Anterior lobe
2. Posterior lobe
3. Median lobe
4. Lateral lobe

Correct answer: 3. Median lobe